A person is very impatient, competitive and works like a perfectionist. He/ she can be best described as:
1. Type A personality
2. Type B personality
3. Type C personality
4. Type D personality

Correct answer: 1. Type A personality

Explanation: Type A personality is characterized by competitiveness, time urgency, hostility and anger. The people with Type A personality are ambitious, impatient and hard working workaholics. Do not confuse type A, B, C,D personality with Custer A, B and C personality disorders. Both of these are different classifications Apart from Type A Personality there are also Type B and D Personalities Type B Personality - Easy going and relaxed (lower chances of CAD) Type D Personality- Negative affectivity and social inhibition. Type A and D have higher risk of CAD.